Eosinophils are activated by -
1. IL 1
2. IL 5
3. IL 4
4. IL6

Correct answer: 2. IL 5

Explanation: IL 5 activates eosinophils that are recruited to the area. Mediate type 1 hypersensitivity. Basic Pathology, Robbins. Page no.: 111 Interleukin-5 is produced by a number of cell types, and is responsible for the maturation and release of eosinophils in the bone marrow. In humans, interleukin-5 is a very selective cytokine as a result of the restricted expression of the interleukin-5 receptor on eosinophils and basophils Also activates eosinophil